Type I helper cells secrete:
1. Interleukin-l
2. Interleukin-2
3. Interleukin-4
4. Interleukin-5

Correct answer: 2. Interleukin-2

Explanation: IL -2 
• Interleukins are “cytokines”.
• Proteins of usually low molecular weight.
• Regulating important biological processes.
• Interleukins are produced by Monocytes, Macrophages, B and T Lymphocytes, mast cells, neutrophils. 
IL1 causes fever
IL2 T cell stimulation
IL3 Bone Marrow stimulation
IL4 IgE Stimulation
IL5 IgA Stimulation